The best treatment for Hepatorenal syndrome
1. Octreotide
2. Iv albumin
3. Midodrine
4. Liver transplantation

Correct answer: 4. Liver transplantation

Explanation: Best treatment - Liver transplantation.